During angiogenesis recruitment of pericytes and periendothelial cells is due to-
1. VEGF & PDGF
2. Angiopoietins, TGF & PDGF
3. TGF, VEFG & PDGF
4. VEGF, IL-2, IL-6

Correct answer: 2. Angiopoietins, TGF & PDGF

Explanation: Robbins and Cotran pathologic basis of disease South Asia edition Angiopoietina 1and 2 are growth factors that play a Role in angiogenesis and the structural maturation of new vessels. Newly formed vessels need to be stabilised by the recruitment of pericytes and smooth muscle cells and by the deposition of connective tissues. Ang1 intract with a tyrosine kinase receptor on endothelial cells called Tie2. The growth factors PDGF A and TGE Beta also participate in the stabilisation process. PDGF recruits smooth muscle cells andTGF Beta suppress endothelial proliferation and migration and enhances the production of ECM proteins..